A 23 years old female patient presented with sever diffuse hair fall for last 1 month. She had a major accident with severe blood loss 5months back for which she had to be hospitalized for 1 month. She is very anxious that all her hair will fall. Most likely diagnosis is?
1. Alopecia aerate
2. Telogen effluvium
3. Anagen effluvium
4. Androgenetic alopecia

Correct answer: 2. Telogen effluvium

Explanation: Ans. is 'b' i.e., Telogen effluvium Points in favor arei) Diffuse hair fallii) History of accident with blood loss (stress)iii) Hair loss after 5 months of accident